A complex interaction among lymphocytes, inflammatory cells and other cellular elements in connective tissue are mediated by a series of low molecular weight proteins called
1. Bradykinin
2. Histamine
3. Cytokines
4. Kallikrein

Correct answer: 3. Cytokines